The mantle zone of the neural tube differentiates into an alar plate and a basal plate. Which of the following brainstem nuclei is NOT derived from the alar plate?
1. Inferior olivary nucleus
2. Solitary nucleus
3. Dorsal column nuclei
4. Hypoglossal nucleus

Correct answer: 4. Hypoglossal nucleus

Explanation: Alar plate derivatives:Dorsal column nuclei, which consist of the gracile and cuneate nucleiInferior olivary nucleiSolitary nucleusSpinal trigeminal nucleusCochlear and vestibular nucleiBasal plate motor neuroblasts give rise to: Hypoglossal nucleusNucleus ambiguusDorsal motor nucleus of the vagus nerve and inferior salivatory nucleus of the glossopharyngeal nerveRef: BRS Neuroanatomy By James D. Fix, 2008, Page 66.